Carpel tunnel syndrome is due to compression of
1. Radial nerve
2. Ulnar nerve
3. Palmar branch of the ulnar nerve
4. Median nerve

Correct answer: 4. Median nerve

Explanation: (D) Median nerve. # CARPAL TUNNEL SYNDROME: This is a syndrome characterised by the compression of the median nerve as it passes beneath the flexor retinaculum.> Causes: Any space occupying lesion of the carpal tunnel may be responsible.> Clinical features: This patient is generally a middle aged woman complaining of tingling, numbness or discomfort in the thumb and radial one and a half fingers i.e., in the median nerve distribution.> The tingling is more prominent during sleep. There is a feeling of clumsiness in carrying out fine movements.> On examination, features of low median nerve compression are found.> Nerve conduction studies show delayed or absent conduction of impulses in the median nerve across the wrist. Treatment is by dividing the flexor retinaculum, and thus decompress the nerve.